Lining of common bile duct
1. Simple columnar
2. Ciliated columnar
3. Pseudo stratified squamous
4. Transitional

Correct answer: 1. Simple columnar

Explanation: Common bile duct is lined by simple columnar epithelium , simple cuboidal epithelium at it's proximal region. Ref: IB Singh textbook of histology 6e pg 268.